Snyder's test tell us the:
1. Exact nature of microorganisms
2. Combined acidogenic nature of microorganisms
3. Enamel dissolving capacity of saliva
4. All of the above

Correct answer: 2. Combined acidogenic nature of microorganisms